Human papilloma virus-8 infection is associated with:
1. Anogenital warts
2. Kaposi sarcoma
3. Cervical carcinoma in situ
4. Flat warts

Correct answer: 4. Flat warts

Explanation: Ans: D i.e. Flat wartsHPV infectionAnogenital warts are caused predominantly by HPV types 6 and 11In 1994, a previously unrecognized herpes virus-human herpesvirus-8 (HHV-8) or Kaposi Sarcoma/ KS associated herpes virus (KSHV) was identified in a cutaneous KS lesion in an AIDS patients. Indeed, regardless of the clinical subtype, 95% of the lesions have subsequently been shown to be KSHV infectedHPV type 16 has also been associated with in situ squamous cell carcinoma of the genitalia and with bowenoid papulosisThe relationship of HPV 5 and 8 to squamous cell carcinomas, particularly in individuals affected by the rare condition, epidermodysplasia verruciformis is well known. These patients develop multiple flat warts that contain HPV genomes, some of which progress to carcinoma